The following are characteristic of autism except –
1. Onset after 6 years of age
2. Repetitive behaviour
3. Delayed language development
4. Severe deficit in social interaction

Correct answer: 1. Onset after 6 years of age